Which of the following is not a component of secondary hemostasis?
1. Thrombin activation
2. Fibrin polymerization
3. Formation of coagulation factor complexes
4. Platelet degranulation

Correct answer: 4. Platelet degranulation

Explanation: Platelet degranulation is a component of primary hematostasis.